Placental alkaline phosphatase is marker of
1. Theca cell tumour
2. Teratoma
3. Choriocarcinoma
4. Seminoma

Correct answer: 4. Seminoma

Explanation: Placental alkaline phosphatase is a marker of seminoma. Also know Gamma-glutamyl-transpeptidase is marker of - seminoma testis AFP is not produced by - seminomas and Choriocarcinomas